A previously healthy infant presents with recurrent episode of abdominal pain. The mother says that the child has been passing altered stool after episodes of pain, but gives no history of vomiting or bleeding per rectum. Which of the following is the most likely diagnosis?
1. Rectal Polyps
2. Intussuception
3. Meckel's Diverticulum
4. Necrotizing Enterocolitis

Correct answer: 2. Intussuception

Explanation: The infant with recurrent episodes of abdominal pain passing currant jelly stool is having intussuception. It is the cause of intestinal obstruction in infancy. Ref: Essential pediatrics by O.P.Ghai 6th edn/ page 268.